Ligamentum teres is the remnant of
1. Umbilical vein
2. Portal vein
3. Ductus venosus
4. Umbilical artery

Correct answer: 1. Umbilical vein

Explanation: (A) Umbilical vein SOME FREQUENTLY ASKED REMNANTS* Ductus arteriosusLigamentum arteriosum* Ductus venosusLigamentum venosum* Left umbilical veinLigamentum teres of liver* Right umbilical veinDisappears* Vitello-intestinal ductMeckel's diverticulum* Wolffian ductGartner duct> After obliteration, the umbilical vein forms the ligamentum teres and the ductus venosus becomes ligamentum venosum.